Creamy fishy odor is caused by :
1. Trichomonas
2. Gardnerella
3. Candida
4. Chlamydia

Correct answer: 2. Gardnerella

Explanation: clinically creamy vaginal discharge with fishy odour without evidence of excessive inflammation Whiff test: Fishy odour when a drop of discharge is mixed with 10%KOH solution and is seen in bacterial vaginosis caused by Gardnerella vaginalis D.C.DUTTA'S TEXTBOOK OF GYNECOLOGY,Pg no:152,6th edition